While doing thoracocentesis, it is advisable to introduce needle along -
1. Upper border of the rib.
2. Lower border of the rib.
3. In the center of the intercostal space.
4. In anterior part of intercostal space.

Correct answer: 1. Upper border of the rib.

Explanation: The intercostal vessels and nerves pass along the lower border of the ribs. To avoid injury to these structures, it is advised to pass needle close to upper borders of the ribs, during thoracocentesis.